All the following are features of Scleroderma except
1. Dysphagia
2. Raynaud's phenomenon
3. Skin contracture
4. Calcification in all the long bones

Correct answer: 4. Calcification in all the long bones

Explanation: Answer is D (Calcification in Long bones) : Scleroderma is associated with resorption of long bones and not their calcification. Scleroderma (Systemic sclerosis) is a multisystemic disorder of unknown cause. It is characterized by fibrosis of the skin, blood vessels and visceral organs.